Innermost stratum of tear film is:
1. Mucus layer
2. Aqueous layer
3. Oily layer
4. None of the above

Correct answer: 1. Mucus layer

Explanation: Ans. Mucus layer